Theophylline levels are increased in all, except
1. Erythromycin
2. Smoking
3. Cimetidine
4. CHF

Correct answer: 2. Smoking

Explanation: Ans. is 'b' i.e., Smoking Smoking induces theophylline metabolism and decreases its plasma level.In certain conditions theophylline concentration is increased, so its dose has to be reduced.These conditions are - Age > 60 years CHFPneumonia Liver failureDrugs causing increased concentration of theophyllineErythromycinCiprofloxacinCimetidineOral contraceptivesAllopurinol